Saw tooth appearance on barium study is seen in
1. Intussusception
2. Ileocecal TB
3. Ischemic colitis
4. Diverticulosis

Correct answer: 4. Diverticulosis

Explanation: Diverticulosis Saw-tooth appearance to the colon, usually sigmoid, with shortening of the bowel, crowding of haustra and picket-fencing of folds Ischemic colitis - thumb printing sign.